The interaction of antigens with antibodies on the surface of a mast cell leads to degranulation and anaphylaxis. The mast cell granules produce anaphylaxis because they contain:
1. Lysosomes
2. Proteolytic enzymes
3. Lymphotoxins
4. Vasoactive mediators

Correct answer: 4. Vasoactive mediators